Teeth with pulp chambers relatively small and have constriction of the pulp chamber approximately at the CEJ are called as:
1. Microdont
2. Hypotaurodont.
3. Cynodont.
4. None of the above

Correct answer: 3. Cynodont.

Explanation: Teeth with pulp chambers that are relatively small and have constriction of the pulp chamber approximately at the CEJ and are called as cynodonts. The term taurodontism was introduced by Sir Arthur Keith to describe a dental -anomaly where the body of the tooth is enlarged at the expense of the roots (bull —like teeth). The taurodontic teeth are identified by elongated pulp .chambers and apical displacement of bifurcation or trifurcation of the roots. Due to this, the chamber has a greater apicoocclusal height than in cynodont teeth and lacks the constriction at the level of the CEJ giving it a rectangular shape.